Salt loosing nephropathy seen in
1. Amyloidosis
2. Lupus nephritis
3. Post streptococcal glomerulonephritis
4. Interstitial nephritis

Correct answer: 4. Interstitial nephritis

Explanation: Ans. is 'd' i.e., Interstitial nephritis